Drug of choice for Nummular keratitis
1. Acyclovir 3% ointment
2. Topical Steroids
3. Intravenous antivirals
4. Keratoplasty

Correct answer: 2. Topical Steroids

Explanation: Ans. (b) Topical SteroidsRef: Kanski 7/e, p. 189Nummular keratitis is characterized by fine granular subepithelial deposits, surrounded by a halo of stromal haze. Develops 10 days after onset of rash.Only Topical steroids are given for treatment.